The drug of choice in pheochromocytoma is:
1. Phenoxybenzamine
2. Propranolol
3. Prazosin
4. Phentolamine

Correct answer: 1. Phenoxybenzamine

Explanation: Ans: a (Phenoxybenzamine)Ref: Thripathi 5 ed., Pg. 122Phenoxybenzamine is the drug of choice for controlling hypertension in pheochromocytomaManagement of PheochromocytomaComplete tumour removal is the ultimate therapeutic goal.Phenoxybenzamine should be initiated at relatively low doses (e.g., 5-10 mg orally three times per day).Liberal salt intake and hydration are necessary Oral prazosin or intravenous phentolamine can be used to manage paroxysms while awaiting adequate alphablockade. Beta blockers (e.g., 10 mg propranolol three to four times per day) can be added after starting alpha blockersCalcium channel blockers or angiotensin-converting enzyme inhibitors can be used Nitroprusside infusion is used for intraoperative hypertensive crisesSome important points of pheochromocytomaMore common on right side Most common symptom - headache Most common manifestation - paroxysmal hypertension In MEN 2 pheochromocytomas are multicentric and bilateral but not extra adrenal.Though hypertension is seen, orthostatic hypotension is also seen. It is called the 10% tumour 10% are bilateral 10% are familial 10% are extra-adrenal 10% are malignant 10% are multiple 10% occur in children VMA assay is less specific than metanephrine or catecholamines for diagnosis of pheochromocytoma